Anti TB drug not toxic to liver is-
1. Isoniazid
2. Rifampicin
3. Pyrazinamide
4. Streptomycin

Correct answer: 4. Streptomycin

Explanation: Ans. is 'd' i.e., Streptomycin HyperuricemiaPeripheral NeuropathyHepatitisOptic Neuritiso Ethambutolo Pyrazinamideo Streptomycino INHo Ethambutolo Ethionamideo Isoniazido Rifampicino Pyrazinamideo Ethionamideo Isoniazido Ethambutol